Radiological inv. shows sun ray appearance; dx is:
1. Osteosarcoma
2. GCT
3. Osteomyelitis
4. Ewing's sarcoma

Correct answer: 1. Osteosarcoma

Explanation: Ans. is 'a' ie Osteosarcoma Classical radiological features*Sun ray appearance*-OsteosarcomaOnion peel appearance*-EwingSoap bubble appearance*-OsteoclastomaPatchy calcification*-ChondrosarcomaWormian bones*-Osteogenesis imperfectaTrethowan's sign*-Stipped capital femoral epiphysisAneurysmal sign*-TB spine.